The following hormone does NOT have any intracellular receptor:
1. Vitamin D3
2. Cortisone
3. Adrenaline
4. Thyroxine

Correct answer: 3. Adrenaline

Explanation: Cell membrane receptor proteins are located within the phospholipid bilayer of the cell membrane of target cells. Binding of hormones (ie, catecholamines, peptide and protein hormones) to cell membrane receptors and formation of the hormone-receptor complex initiates a signaling cascade of intracellular events, resulting in a specific biologic response. Intracellular receptors are transcription factors that have binding sites for the hormone (ligand) and for DNA and function as ligand (hormone)-regulated transcription factors. Steroid hormones and the steroid derivative vitamin D3 fulfill this requirement. Thyroid hormones must be actively transported into the cell. Ref: Molina P.E. (2013). Chapter 1. General Principles of Endocrine Physiology. In P.E. Molina (Ed), Endocrine Physiology, 4e.